Preferred insulin regimen during pregnancy?
1. Insulin Regular + NPH
2. Insulin NPH + Lispro
3. Insulin Degludec
4. Insulin Lispro + Insulin regular

Correct answer: 2. Insulin NPH + Lispro

Explanation: For basalinsulincoverage, intermediate-acting neutralprotamineHagedorn (NPH)insulinhas historically been considered first-line therapy and has been widely studied in this patient population. For postprandial glycemic control, rapid-actinginsulinanalogues, such asinsulinlispro andinsulin aspart, do not cross the placenta and have been safely used in pregnancy.